DOTS chemotheraphy is given for -
1. TB
2. Leprosy
3. AIDS
4. Tetanus

Correct answer: 1. TB

Explanation: DOTS remain central to the public health approach to tuberculosis control, which is now presented as Stop TB Strategy. Ref:PARK'S TEXTBOOK OF PREVENTIVE AND SOCIAL MEDICINE 23rd edition , Page 176